Megalocornea is associated with A/E –
1. Down syndrome
2. Turner syndrome
3. Marfan syndrome
4. Ehler danlos syndrome

Correct answer: 2. Turner syndrome

Explanation: Systemic diseases causing megalcornea are Marfan syndrome, Apert syndrome, Ehler danlos syndrome and Down syndrome.